The accompanying artery with axillary nerve in the quadrangular space is:
1. Anterior circumflex humeral artery
2. Posterior circumflex humeral artery
3. Profunda brachii artery
4. Circumflex scapular artery

Correct answer: 2. Posterior circumflex humeral artery

Explanation: Axillary nerve and posterior circumflex humeral artery pass through quadrangular space and then wind around the surgical neck of humerus.